50 year old male , known case of diverticulosis of the colon presentswith complaints of left lower quadrant pain and bloody stools. He was taken up for follow up . Doctorbeginshisworkup with appropriating test of the sigmoid colonby recalling which of it's specific feature :
1. Is drained by systemic veins
2. Has teniae coli and epiploic appendages
3. Receives parasympathetic fibers from the vagus nerve
4. Receives its blood from the superior mesenteric artery

Correct answer: 2. Has teniae coli and epiploic appendages

Explanation: The sigmoid colon has teniae coli and epiploic appendages. The sigmoid colon receives blood from the inferior mesenteric artery, drains its venous blood through the portal tributaries, has its own mesentery (sigmoid mesocolon; therefore, is not a retroperitoneal organ). Receives parasympathetic preganglionic fibers from the pelvic splanchnic nerve.